Wilm's Tumour is associated with all. except ?
1. Hemihypertrophy
2. Beckwith syndrome
3. Aniridia
4. Polycystic kidney

Correct answer: 4. Polycystic kidney

Explanation: Ans. is d i.e., Polycystic kidney disease